Vaginal cytology for hormonal change is best taken from:
1. Posterior wall
2. Anterior wall
3. Lateral wall
4. Any wall

Correct answer: 3. Lateral wall